Patient with mitral stenosis is having surgery tomorrow. There is some liver compromise. Which of the following inhalational agent is preferred –
1. Halothane
2. Enflurane
3. Xenon
4. Sevoflurane

Correct answer: 3. Xenon

Explanation: "Maintenance of anesthesia in MS is best accomplished by use of drugs with minimal effect on heart rate, myocardial contractility, cardiac output and systemic and pulmonary vascular resistence".
─Stoelting

Amongst the given options, Xenon has minimal effect on cardiovascular side effects.
Halothone decrease myocardial contractility, BP and heart rate.
Enflurane decreases BP, Systemic vascular resistance and increase heart rate.
Sevoflurane decreases BP, cardiac output, and systemic vascular resistane.